True statements about esophageal hiatus:
1. Lies between two cura of diaphragm
2. At the level of D12 vertebra
3. Vagus nerve passes through it
4. All

Correct answer: 3. Vagus nerve passes through it

Explanation: C. i.e. Vagus nerve passes through it